Which of the following is a physiological uncoupler?
1. Thyroxine
2. Insulin
3. Glucagon
4. Norepinephrine

Correct answer: 1. Thyroxine

Explanation: Ans. A. Thyroxine(Ref: Harper 31/e page 123)Uncoupler of Oxidative PhosphorylationMechanism of Action -Disruption of Proton Gradient across the inner mitochondrial membrane.1. 2,4 Dinitrophenol2. Dinitrocresol3. FCCP (Flouro Carbonyl Cyanide Phenyl hydrazine)4. Aspirin in high dosePhysiological Uncoupler1. Thermogenin (uncoupling Protein 1) in Brown Adipose Tissue2. Thyroxine3. Long chain free fatty acid4. Unconjugated bilirubin.